Which of the following is true regarding PROPOFOL
1. It is used in day care anesthesia
2. It is contraindicated in porphyria
3. IT is contraindicated in person allergic to egg
4. It is HIGHLY cardiostable

Correct answer: 1. It is used in day care anesthesia

Explanation: Only contraindication of propofol is shock being cardiounstable. Intravenous induction agent of choice for day care anesthesia is propofol. It has rapid onset of action and a faster recovery. It also reduces postoperative nausea and vomiting which provide yet another reason for it to be a preferred drug for outpatient anesthesia. Inhalational agent of choice for day care anesthesia issevoflurane. Muscle relaxant of choice for day care anesthesia isrocuronium.